IQ level in profound mental retardation is -
1. <20-25
2. 25-40
3. 40-55
4. 55-70

Correct answer: 1. <20-25

Explanation: Ans. is 'a' i.e., < 20-25 o I.Q. level is used to assess level in intelligenceo Degree of intellectual impairment is divided on basis of I.Q. level.Mild MR 55-70Moderate MR 40-55Severe MR 25-40Profound MR < 20 - 25